Which of the following is the most common false localizing neurological sign in assessing brain tumors-
1. Seizures
2. Unilateral papilloedema
3. Abnormal unilateral pupil
4. Diplopia

Correct answer: 4. Diplopia

Explanation: Ans. is 'd' i.e., Diplopia o Neurological signs have been described as "false lacalising " if they reflect dysfunction distant or remote from the expected anatomical locus of pathology', hence challenging the traditional dinicoanatomical correlation paradigm on which neurological examination is based.o False localizing sign occur in two major contexts:As a consequence of raised intracranial presureWith spinal cord lesions.o Cranial nerve palsies (especially sixth nerve palsy), hemiparesis, sensory'features (such as truncal sensory levels) and muscle atrophy may all occur as false localising signs,o Commonest examples are 6th cranial nerve palsy (unilateral or bilateral) and papilloedema secondary to raised intracranial pressure (chronic meningitis and tumour).o The reason for false localizing sign in the 6th cranial nerve palsy> is due to its long intracranial course.